12 year old boy presents with progressive swellings at upper end of tibia - irregular, local temperature raised, invariable consistency and ill defined margins most probable diagnosis is
1. Giant cell tumor
2. Ewing's sarcoma
3. Osteogenic sarcoma
4. Secondary metastasis

Correct answer: 3. Osteogenic sarcoma

Explanation: The clinical presentation in question can occur both in Ewing's sarcoma and osteosarcoma. However, swelling is around the knee joint at upper end of tibia, which favours the diagnosis of osteosarcoma (metaphyseal lesion). Ewing's sarcoma usually occurs in the diaphysis of the bone (middle of the shaft). Giant cell Tumor site- Epiphysis Secondary metastasis occurs in old age usually.